Most common cause of pyelonephritis in pregnancy:
1. Pseudomonas
2. E. coli
3. Proteus
4. Klebsiella

Correct answer: 2. E. coli

Explanation: Ans. is. 'b' i. e., E. coli